The tendency of colonic carcinoma to metastasize is best assessed by
1. Size of tumor
2. Carcinoembryonic antigen (CEA) levels
3. Depth of penetration of bowel wall
4. Proportion of bowel circumference involved.

Correct answer: 3. Depth of penetration of bowel wall